Fronto-nasal duct opens into:
1. Inferior meatus
2. Middle meatus
3. Superior meatus
4. Inferior turbinate

Correct answer: 2. Middle meatus

Explanation: The Frontal sinus opens in the middle meatus through a duct known as fronto-nasal duct or frontal recess.